In gastric outlet obstruction in a peptic ulcer patient the site of obstruction is most likely to be :
1. Antrum
2. Duodenum
3. Pylorus
4. Pyloric canal

Correct answer: 2. Duodenum

Explanation: Answer is B (Duodenum) Gastric outlet obstruction in a patient with peptic ulcer disease is suggestive of pyloric stenosis. The term pyloric stenosis is normally a misnomer. The stenosis is seldom at the pylorus. Commonly the stenosis is found in the first part of the duodenum, the most common site for a peptic ulcer.